Thymoma may be associated with all the conditions, EXCEPT:
1. Polymyositis
2. Sjogrens syndrome
3. Ulcerative colitis
4. Crohns disease

Correct answer: 4. Crohns disease

Explanation: Patients with myasthenia gravis-10-15% have thymoma. Thymoma may be associated with polymyositis, systemic lupus erythematosus, thyroiditis, Sjogren's syndrome, ulcerative colitis, pernicious anemia, Addison's disease, scleroderma, and panhypopituitarism. Ref: Harrison, E-18, Chapter e-20